All are chemical Asphyxiants, except?
1. Helium
2. Carbon Monoxide
3. Cyanide
4. Carbon disulphide

Correct answer: 1. Helium

Explanation: Asphyxiants (1) IRRITANTS: The gases injure the air passages or lungs or both, and produce inflammatory changes.smoke, tear gases, ammonia, formaldehyde, chlorine, phosgene, nitrogen dioxide, sulphur dioxide. (2) CHEMICAL ASPHYXIANTS :The examples are carbon monoxide, hydrogen sulphide, arsine, carbon disulphide, and cyanide. (3) SIMPLE ASPHYXIANTS : They are carbon dioxide, methane, helium, nitrogen and nitrous oxide. Symptoms appear when these gases exceed 20 to 30% of inspired air. (4) VOLATILE DRUGS: absorbed through blood and toxic to internal organs like liver, kidney and CNS. They are aliphatic hydrocarbons, halogenated hydrocarbons and aromatic hydrocarbons. (5) SYSTEMIC POISONS : These are insecticides, arsine, stibine.